A 44-year-old woman comes to her physician and complains of headache and backache. On examination, she is found to have fluid accumulated in the spinal epidural space because of damage to blood vessels or meninges. Which of the following structures is most likely ruptured?
1. Vertebral artery
2. Vertebral vein
3. External vertebral venous plexus
4. Internal vertebral venous plexus

Correct answer: 4. Internal vertebral venous plexus

Explanation: The Internal Vertebral Venous Plexus is located in the spinal epidural space. The vertebral artery and vein occupy the transverse foramina of the upper six cervical vertebrae. The external vertebral venous plexus consists of the anterior part, which lies in front of the vertebral column, and the posterior part, which lies on the vertebral arch. The lumbar cistern is the enlargement of the subarachnoid space between the inferior end of the spinal cord and the inferior end of the subarachnoid space.